What is not seen in cystitis
1. Nocturia
2. Hematuria
3. Fever
4. Urgency

Correct answer: 3. Fever

Explanation: Cystitis is associated with frequency, pain, haematuria and pyuria. Pyrexia and rigors are not associated with a simple UTI but are signs of upper tract infection and septicemia. Reference : Bailey &Love, 27th Edition, page no = 1442